Which among the following help in folding of Proteins
1. Proteosomes
2. Chaperones
3. Glycoproteins
4. Proteases

Correct answer: 2. Chaperones

Explanation: Chaperones also called as heat shock proteins are auxillary proteins that assist in protein folding.